Acantholytic cells in blister cavity -
1. Pemphigus
2. Bullous pemphigoid
3. Epidermolysisbullosa
4. Dermatitis herpetiformis

Correct answer: 1. Pemphigus

Explanation: Ans. is 'a' i.e., Pemphigus Important Tzank smear finding of bullous lesionso VZV and HSV infectiono Pemphiguso Pemphigoid---Multinucleated giant cellsAcontholytic cellsPredominantly eosinophils